Orbital cellulitis most commonly occurs after which sinus infection?
1. Maxillary
2. Frontal
3. Ethmoidal
4. Sphenoidal

Correct answer: 3. Ethmoidal

Explanation: ANSWER: (C) EthmoidalREF: Dhingra 4th ed p, 182,190However orbital cellulitis can be a complication of maxillary, frontal and Ethmoid sinusitis, Orbital cellulitis is an early complication in Ethmoid sinusitis and hence most common.